All are actions of kidney except
1. Erythropoietin secretion
2. Regulation of 1,25-Dihydroxyvitamin D3 production
3. Glycogenesis
4. Regulation of water and electrolyte balance

Correct answer: 3. Glycogenesis

Explanation: *Excretion of metabolic waste products and foreign chemicals*Regulation of water and electrolyte balances*Regulation of body fluid osmolality and electrolyte concentrations*Regulation of arterial pressure*Regulation of acid-base balance*Regulation of erythrocyte production*Secretion, metabolism, and excretion of hormones*Gluconeogenesis